The nerve responsible for Cremasteric reflex is:
1. Hypogastric nerve
2. Genito femoral nerve
3. Ilioinguinal nerve
4. All of the above

Correct answer: 2. Genito femoral nerve

Explanation: Genito femoral nerve